Commonly used grading for abruption placenta:
1. Page
2. Johnson
3. Macafee
4. Apt

Correct answer: 1. Page

Explanation: Grade 1: unrecognized clinically before delivery Grade 2: intermediate with classical signs of abruption Grade 3: severe abruption with fetus dead (refer pgno:133 sheila textbook of obstetrics 2 nd edition)